Zero orded kinetics in following drug with high dose
1. Phenytoin and propranolol
2. Digoxin and prapranolol
3. Amiloride and propranolol
4. Alcohol and theoplylline

Correct answer: 4. Alcohol and theoplylline

Explanation: Zero order kinetics is seen in alcohol and theoplylline Ref-KDT 7/e p31